30-year old male presents with flaccid bullae on an erythematous base and erosions over the oral mucous membrane. The blisters developed painful erosions rupture. What would be the most likely finding on an immunofluorescent examination of the sl biopsy of this patient?
1. Lincear IgA deposition in dermopeidermal junction
2. Linear IgG deposition in dermoepidermal junction
3. Fish net IgG deposition in epidermis
4. Granular deposits of IgA in dermal papillae

Correct answer: 3. Fish net IgG deposition in epidermis

Explanation: Ans. c. Fish net IgG deposition in epidermis